Insensible losses per day are calculated as?
1. 5ml/kg/day
2. 10ml/kg/day
3. 15ml/kg/day
4. 20ml/kg/day

Correct answer: 2. 10ml/kg/day

Explanation: Insensible losses per day = 10 ml/kg/day Insensible losses per day |- in ventilated patient Insensible losses per day |- in patient with fever